What is the IQ of an imbecile?
1. 70-80
2. 50-69
3. 20-49
4. 0-20

Correct answer: 3. 20-49

Explanation: Categorical classification of intellectual disabilityCategory I.Q.Moron50-90Imbecile20-49Idiot<20(Refer: Nelson's Textbook of Pediatrics, SAE, 1st edition, pg no. 51)